Shock index (HR/SBP) can be used to know the severity of the bleeding in cases of hemorrhage. Which of the following is most indicative for significant PPH
1. 0.3-0.5
2. 0.5-0.7
3. 0.7-0.9
4. 0.9-1.1

Correct answer: 4. 0.9-1.1

Explanation: Ans. d. 0.9-1.1 elevated shock index (heart rate/systolic blood pressure >0.9) maybe signs of tissue hypoperfusion Shock Index Shock index (SI), defined as the ratio of heart rate (HR) to systolic blood pressure (SBP). Shock index >0.9: Sign of tissue hypoperfusionQ Shock index (SI) = Heart rate (HR)/ Systolic blood pressure (SBP)